Arterial blood supply to Little's area is from all the following except
1. Sphenopalatine artery
2. Anterior ethmoidal artery
3. Superior labial artery
4. Posterior ethmoidal artery

Correct answer: 4. Posterior ethmoidal artery

Explanation: Arteries supplying Little's area are: a. Sphenopalatine artery. b. Superior labial artery. c. Anterior ethmoidal artery. d. Septal branches of greater palatine artery.